In a patient with cardiac output 5 liters/minute and body surface area 1.7 m2 what will be the cardiac index
1. 3 liter/ min/ m2
2. 4 liter/min/m2
3. 5 liter/ min/ m2
4. 2.5 liter/ mkin/ m2

Correct answer: 1. 3 liter/ min/ m2

Explanation: A i.e. 3 liters / min/m2